Best test for diagnosis of Carcinoid tumor:
1. 24 hour urinary 5H.I.A.A
2. 24 hour catecholamines
3. 24 hour vaniylmandelic acid levels
4. 24 hour metanephrine levels

Correct answer: 1. 24 hour urinary 5H.I.A.A

Explanation: Ans. (a) 24 hour urinary 5H.I.A.ARef: Harrison 19th ed. 1564-65* 5-HLAA is the major urinary metabolite of serotonin, a ubiquitous bioactive amine. Serotonin, and consequently 5-HLAA, are produced in excess by most carcinoid tumors, especially those producing the carcinoid syndrome of flushing, hepatomegaly, diarrhea, bronchospasm, and heart disease.